The process of aseptic autolysis that occurs when the child remains in the uterus for some period is called
1. Mummification
2. Maceration
3. Adipocere formation
4. Putrefaction

Correct answer: 2. Maceration

Explanation: Maceration Maceration is a process of aseptic autolysis that occurs when the dead child remains in the uterus for some period surrounding with liquor amnii but with the exclusion of air. Hence, if the child died in utero about 12 hours before it was born, the signs of maceration may not be seen and in such cases it would be difficult to say whether the child died in utero or during the birth. Ref: TEXTBOOK OF FORENSIC MEDICINE AND TOXICOLOGY KRISHNAN VIJ FIFTH EDITION PAGE NO 148